Actin's active site is covered by
1. Myosin
2. Tropomyosin
3. Troponin
4. Desmin

Correct answer: 2. Tropomyosin

Explanation: The active site of actin in skeletal muscles is where myosin binds. This is covered by Tropomyosin.